Which of the following factors are important when space maintenance is considered after the untimely loss of primary teeth?
1. Chronologic age of patient
2. Skeletal age of patient
3. Dental age of patient
4. Biologic age of patient

Correct answer: 3. Dental age of patient